Which of the following muscles has attachment on the capsule of hip joint?
1. Sartorius
2. Rectus femoris
3. Vastus lateralis
4. Vastus medialis

Correct answer: 2. Rectus femoris

Explanation: Posterior head of rectus femoris arises from a groove above the acetabulum and the capsule of hip joint.